In peptic ulcer, antacids are now primarily used for:
1. Prompt pain relief
2. Ulcer healing
3. Preventing ulcer relapse
4. Control of bleeding from the ulcer

Correct answer: 1. Prompt pain relief

Explanation: Peptic ulcer disease is due to imbalance between aggressive and protective factors Treatment involves : - Proton pump inhibitors(PPI): Irreversible inhibitors, drug of choice fot Peptic ulcer disease. - Antacids: Fastest pain relievers of PUD. - Ulcer protectives: Sucralfate, colloidal bismuth subcitrate. - H Pylori drugs: Amoxycillin, Metronidazole, Clarithromycin Triple drug: - C: Clarithromycin- A: Amoxycillin- P: PPI